The movement that occurs in the horizontal plane when the mandible moves into a lateral excursion is
1. Horizontal axis
2. Vertical axis
3. Sagittal axis
4. Trans saggital axis

Correct answer: 2. Vertical axis